Auspitz sign is seen in?
1. Pustular psoriasis
2. Guttate psoriasis
3. Plaque psoriasis
4. Erythrodermic psoriasis

Correct answer: 3. Plaque psoriasis

Explanation: Scratching scale in psoriasis makes the scale appear more silver in color by introducing air-keratin interfaces More vigorous scratching or picking off the scale produces small bleeding points (Auspitz's sign in plaque type) Plaque-type psoriasis MC variety of psoriasis. Patients will have stable, slowly enlarging plaques, which remain basically unchanged for long periods of time. MC areas are elbows, knees, gluteal cleft, and scalp. Involvement is symmetric.